The epithelial lining of the urethra below the opening of the ejaculatory ducts is -
1. Stratified cuboidal epithelium
2. Stratified columnar epithelium
3. Transitional epithelium
4. Stratified squamous epithelium

Correct answer: 2. Stratified columnar epithelium

Explanation: Ans-Stratified columnar epithelium